Immunostimulant used for the treatment of malignant Melanoma Norma is
1. Levamisol
2. BCG
3. Aldesleukin
4. Methotrexate

Correct answer: 3. Aldesleukin

Explanation: Ref-Katzung 10/e p906 It is a recombinant IL-2 used for the treatment of renal cell carcinoma and malignant melanoma